Armoured enforcement of ET tube is used in
1. Neurosurgery
2. Cardiac surgery
3. Liver surgery
4. Intestinal Surgery

Correct answer: 1. Neurosurgery

Explanation: Their distinctive feature of armoured or reinforced tubes has is a metal wire coil embedded in the wall of the tube shaft. Reinforced tubes have certain advantages over standard endotracheal tubes in several situations due to their resistance to occlusion when bent and their overall greater flexibility:Many practitioners prefer using armoured tubes in head & neck and neurosurgical cases, i.e. when access to the airway is limited and bulky equipment in front of the patient's mouth and face can get in the way of the surgeon.